Sickle cell anemia is the clinical manifestation of homozygous genes for an abnormal haemoglobin molecule. The event responsible for the mutation in the Beta chain is
1. Insertion
2. Deletion
3. Non-disjunction
4. Point mutation

Correct answer: 4. Point mutation

Explanation: Point mutation is a random SNP (single-nucleotide polymorphism) mutation in the deoxyribonucleic acid (DNA) that occurs at one point. Point mutations usually take place during DNA replication. DNA replication occurs when one double-stranded DNA molecule creates two single strands of DNA, each of which is a template for the creation of the complementary strand. A single point mutation can change the whole DNA sequence. Changing one purine or pyrimidine may change the amino acid that the nucleotides code for.Point mutation is a random SNP (single-nucleotide polymorphism) mutation in the deoxyribonucleic acid (DNA) that occurs at one point. Point mutations usually take place during DNA replication. DNA replication occurs when one double-stranded DNA molecule creates two single strands of DNA, each of which is a template for the creation of the complementary strand. A single point mutation can change the whole DNA sequence. Changing one purine or pyrimidine may change the amino acid that the nucleotides code for.Ref: DM Vasudevan, 7th edition, page no: 612